Most afferent fibers from the lateral geniculate nucleus terminate in the primary visual cortex is:
1. Layer 1
2. Layer 2 & 3
3. Layer 4
4. Layer 5 & 6

Correct answer: 3. Layer 4

Explanation: C i.e. Layer 4Afferents from Lateral geniculate body terminate onto the visual cortex, mostly through the magnocellular, and parvocellular pathways. Axons from parvocellular and magnocellular pathway, both terminate in Layer 4 of the visual cortex.The axons from Lateral geniculate nucleus that form the magnocellular pathway end in layer four (4). Many of the axons that form the parvocellular pathway also end in Layer 4. Most of the axons from Lateral geniculate nucleus thus end in Layer 4 of the visual cortex.Some fibres from Lateral geniculate body terminate the inter laminar pathway. These terminate onto layers '2' & '3' of visual cortex.